Latex agglutination study of the antigen in CSF helps in the diagnosis of -
1. Cryptococcus
2. Candidiasis
3. Aspergillosis
4. Histoplasmosis

Correct answer: 1. Cryptococcus

Explanation: Cryptococcal antigens can be detected in CSF, serum and urine by latex agglutination test.
Antigen titer in CSF stays for longer duration and is directly proportional to mortality of the patients.